All are rapid growers except -
1. M.fortuitum
2. M.chelonae
3. M.avium intracellulare
4. M. Smegmatis

Correct answer: 3. M.avium intracellulare

Explanation: Ans. is 'c' i.e., M.avium intracellulare